After doing a graft repair of a thoraco-abdominal aneurysm, the patient was not able to move both of his lower limbs. Most probable cause is
1. Damage to thoracic splanchnic nerve
2. Damage to lumbar spinal nerves
3. Ischemia of lower limbs
4. Insufficiency of arteria magna radicularis

Correct answer: 4. Insufficiency of arteria magna radicularis

Explanation: Ans. d. Insufficiency of arteria magna radicularis